Which of the following leads to greenish discharge per vaginum -
1. Bacterial vaginosis
2. Trichomoniasis
3. Chlamydia
4. Ureaplasma urealyticum

Correct answer: 2. Trichomoniasis

Explanation: Ans- B i.e., Trichomoniasis o See above explanation